Apoptosis- all are true except?
1. Normal physiological process of programmed cell death
2. Products removed by phagocytosis
3. Plasma membrane zeiosis
4. Causes inflammation that damage surrounding cells

Correct answer: 4. Causes inflammation that damage surrounding cells

Explanation: Ans. (d) Causes inflammation that damage surrounding cells(Ref Robbins 9th/pg 53; 8th/pg 25, 26)Blebbing or zeiosis is the formation of blebs, it is seen in apoptotosis to form apoptotic bodies